Retardation of skeletal maturity can be caused by all except-
1. Chronic renal failure
2. Hypothyroidism
3. Protein energy malnutrition (PEM)
4. Congenital adrenal hyperplasia

Correct answer: 4. Congenital adrenal hyperplasia

Explanation: Ans is option 4 .. Congenital adrenal hyperplasia Delay in bone age is seen in - Nutritional dwarfism Hypopituitarism Hypothyroidism Renal failure In congenital adrenal hyperplasia increase in the level of sex hormones accelerates bone maturation. Ref Harrison 17/e p2208